The most common cause of Renal scarring in a 3 year old child is
1. Trauma
2. Tuberculosis
3. Vesicoureteral reflux induced pyelonephritis
4. Interstitial nephritis

Correct answer: 3. Vesicoureteral reflux induced pyelonephritis

Explanation: vesicoureteral reflux (VUR) has been considered the most important risk factor for post-UTI renal scar formation in children. VUR predisposes children with UTI to pyelonephritis, and both are associated with renal scarring. Reference: GHAI Essential pediatrics, 8th edition